Graft for myringoplasty
1. Temporalis fascia
2. Iliacus fascia
3. Coles fascia
4. I hotibial band

Correct answer: 1. Temporalis fascia

Explanation: Ans. is 'a' i.e., Temporalis fascia Graft material used for myringoplasty are : Temporalis fascia (most common) Tragal cartilage Perichondrium from the tragus Vein